All are common causes of maternal mortality except?
1. Post-partum hemorrhage
2. Infection
3. Cardiac failure
4. Anaemia

Correct answer: 3. Cardiac failure

Explanation: Ans. is 'c' i.e., Cardiac failure